Urethritis in males is not caused by
1. H ducreyi
2. Trichomonas
3. Chlamydia
4. Gonococcus

Correct answer: 1. H ducreyi

Explanation: H Ducreyi course soft sore chancroid Infections cuase urethritis Neisseria gonorrhea chlamydia trachsmati's Trichsmonas Vaginalis Mycoplasma genitalium ref : ananthanaryana